All of the following enzymes are regulated by calcium or calmodulin, except
1. Adenylate cyclase
2. Glycogen synthase
3. Guanylyl cyclase
4. Hexokinase

Correct answer: 4. Hexokinase

Explanation: Ca2+ is needed for the direct activation of enzymes such as lipase (pancreatic), ATPase and succinate dehydrogenase. Calmodulin mediated action of Ca2+: Calmodulin is a calcium-binding regulatory protein. Ca-calmodulin complex activates certain enzymes e.g. adenylate cyclase, Ca2+ dependent protein kinases, glycogen synthase, glycerol-3-phosphate dehydrogenase ref DM Vasudevan 8th ed page 492 box 34.2